Basiliximab acts by antagonism against ?
1. CD 25
2. CD 11a
3. TNF
4. All

Correct answer: 1. CD 25

Explanation: Ans. is 'a' i.e., CD 25 o Basiliximab and daclizumab are mono-clonal antibodies against IL-2R (CD-25).